A 10-year-old child has recurrent signs and symptoms of palpable purpura on the buttocks, arthralgias, colicky abdominal pain, diarrhea, and microscopic hematuria. Which of the following is the most likely diagnosis?
1. influenza
2. immune complex vasculitis
3. juvenile RA
4. systemic lupus erythematosus (SLE)

Correct answer: 2. immune complex vasculitis

Explanation: The child most likely has Henoch-Schonlein purpura, an immune complex vasculitis affecting the skin, GI tract, and renal glomeruli. Inciting antigens include upper respiratory tract infections, drugs, foods, and insect bites.